In which of the following condition, 'cutis anserina' is seen?
1. Drowning
2. Suffocation
3. Lust murder
4. Electrocution

Correct answer: 1. Drowning

Explanation: Cutis anserina or goose-skin or goose-flesh is seen in drowning, in which the skin has granular and puckered appearance. It is produced by the spasm of the erector pilae muscles, attached to each hair follicle. It may occur on submersion of the body in cold water immediately after death, while the muscles were still in warm and irritable. It is also produced by rigor mortis of the erector muscles. Ref: Essentials of Forensic Medicine and Toxicology by KS Narayan Reddy, 27th edition, Page 326.